A 6 month child woke up in night crying with abdominal pain which got relieved on passing red stools. What is the diagnosis?
1. Meckel's diverticulum
2. Intussusception
3. Malrotation
4. Intestinal obstruction

Correct answer: 2. Intussusception

Explanation: Intussusception Mostly seen in 6-11 months of age intermittent colicky abdominal pain,vomiting,bloody mucus(current jelly)the classic triad is encountered only in 20-40%cases history of recent change of milk formula,upper respiratory tract infections,or vaccination Manifest as crying episodes A sausage shaped mass may be palpable in the right quadrant,right iliac fossa is usually empty Ref : ESSENTIAL PEDIATRICS,O.P.GHAI, PG NO:259,7th edition